The structures passing posterior to diaphragm are all except
1. Aorta
2. Azygous vein
3. Thoracic duct
4. Greater splanchnic nerve

Correct answer: 4. Greater splanchnic nerve

Explanation: Aortic opening
-        Level- T12
-        At osseoaponeurosis between right and left crus
-        Structures transmitted

   Aorta
   Thoracic duct
   Azygos vein